Which of the following statements about carcinogenesis  is false?
1. Asbestos exposure increases the incidence of lung cancer
2. Exposure to aniline dyes predisposes to cancer of the urinary bladder
3. Papilloma viruses produce tumors in animals but not in humans
4. Hepatitis B virus has been implicated in hepatocellular carcinoma

Correct answer: 3. Papilloma viruses produce tumors in animals but not in humans